Which antineoplastic agent is an antifolate drug:
1. Methotrexate
2. Adriamycin
3. Vincristine
4. Cyclophosphamide

Correct answer: 1. Methotrexate

Explanation: Methotrexate